Which of the following is the most common cause of fracture of roof of orbit?
1. Blow on back of head
2. Blow on parietal bone
3. Blow on the forehead
4. Blow on the upper jaw

Correct answer: 3. Blow on the forehead

Explanation: Fractures of the orbital roof usually results from blow to the brow, often associated with a late-developing periorbital hematoma. The delay in swelling can be an important clue in differentiating fractures of the roof from other orbital injuries. Severe fractures of the orbital roof often are associated with fractures of the forehead combined with brain injury and dural tears with cerebrospinal fluid leakage. Ref: Head & Neck Surgery: Otolaryngology edited by Byron J. Bailey, Jonas T. Johnson, Shawn D. Newlands, 2006, Page 1346.